The United Nations General Assembly recently declared June 21st as
1. International Yoga day
2. International Tourism day
3. International Meditation day
4. International Cultural Heritage day

Correct answer: 1. International Yoga day